Structure piercing investing layer of deep cervical fascia in posterior triangle of neck
1. Spinal accessory nerve
2. Common carotid artery
3. Internal jugular vein
4. External jugular vein

Correct answer: 4. External jugular vein

Explanation: Investing layer in the posterior triangle of neck is pierced by: * External jugular vein * Supraclavicular nerves. * Cutaneous nerves including lymphatics.